A 10 year old injured her upper limb 2 years ago. She presents with valgus deformity of the elbow and paresthesias over the medial border of the hand. What is the likely diagnosis?
1. Lateral condyle fracture humerus
2. Supracondylar fracture humerus
3. Medial condyle fracture humerus
4. Fracture of proximal ulna

Correct answer: 1. Lateral condyle fracture humerus

Explanation: Valgus deformity of the elbow & paresthesias over the medial border of the hand would suggest the fracture of lateral condyle of humerus. Ref: Operative Techniques in Pediatric Orthopaedics By John M. Flynn, Sam W. Wiesel, Pages 10-11 ; Surgery: Basic Science and Clinical Evidence By Jeffrey A. Norton, Philip S. Barie, Randall Bollinger, 2008, Page 2245